Which of the following is seen in the peripheral smear of a patient who has underwent splenectomy -
1. Howell-Jolly bodies
2. Eosinophilia
3. Macrocytosis
4. Thrombocytopenia

Correct answer: 1. Howell-Jolly bodies